Rowel-Jolly bodies may be seen after-
1. hepatectomy
2. Splenectomy
3. Pancreatectomy
4. Cholecystectomy

Correct answer: 2. Splenectomy